Which of the following is false regarding cell free DNA
1. Detected in maternal blood
2. Prenatal diagnosis of Down's syndrome can be made
3. Used for liquid biopsy
4. It is one of the invasive techniques for  prenatal diagnosis of certain genetic diseases

Correct answer: 4. It is one of the invasive techniques for  prenatal diagnosis of certain genetic diseases

Explanation: Prenatal diagnosis can be made by invasive and non invasive techniques.
Invasive techniques include aminocentesis, chorionic villous sampling, cord blood sampling. Cell free DNA is a non invasive method.